A 80 year old patient presents with a midline tumor of the lower jaw, involving the alveolar margin. He is edentulous. Rx of choice is:
1. Hemi mandibulectomy
2. Commando operation
3. Segmental mandiblectomy
4. Marginal mandibulectomy

Correct answer: 3. Segmental mandiblectomy

Explanation: Segmental mandibulectomy recommended for alveolar lesions, tumors adherent to the mandible, or for radiographic evidence of bone involvement. Ref: Craniomaxillofacial Reconstructive and Corrective Bone Surgery: Principles of Internal Fixation By Alex M. Greenberg, Joachim Prein, 2002, page 411.